True about Insulin:
1. Release is enhanced by somatostatin
2. Has an identical chemical structure in all the species
3. Released from the pancreas only in the postprandial state
4. Promotes synthesis of triglycerides

Correct answer: 4. Promotes synthesis of triglycerides

Explanation: Insulin is released from the pancreatic beta cells. Somatostatin released from the delta cells; inhibits secretion of insulin and glucagon. Secretion of insulin occurs both under fasting conditions as well as after ingestion of a meal. It inhibits lipoprotein lipase: which hydrolyzes triglycerides, hence favours triglyceride synthesis. The amino acid sequence of insulin is not the same in all the species. Bovine insulin differs in two amino acids and porcine insulin by one amino acid.